In a man with 45 kg of weight and 1.5 m of height, the BMI is:
1. 19
2. 20
3. 21
4. 22

Correct answer: 2. 20

Explanation: BMI = Weight(kg)/ Height (m2) 45/2.25 = 20 Classification of adults according to BMI: Classification BMI Underweight < 18.50 Normal BMI 18.50-24.99 Overweight > 25 Pre-Obese 25-29.99 Obese Class 1 30.00 -34.99 Obese Class 2 35.00-39.99 Obese Class 3 > 40.00